The antibiotic which acts on the cell membrane is?
1. Daptomycin
2. Bacitracin
3. Linezolid
4. Novobiocin

Correct answer: 1. Daptomycin

Explanation: The antibiotics which acts on the cell membranes are: Polymyxins, Gramicidin, and daptomycin Ref: Harrisons, Edition-18, Page :1134.